In which of the following situations composites should be avoided:
1. Fissure sealant
2. Root surface lesion
3. Preventive resin restoration
4. Posterior teeth restorations

Correct answer: 2. Root surface lesion

Explanation: Composites are usually contraindicated in root surface lesions as gap formation is seen as a result of the forces of polymerization shrinkage being higher than initial bond strength.  
Composites are effectively used for pit and fissure sealants, preventive resin restorations and core build ups.